Which of the following is an anxiolytic drug?
1. Lithium
2. Oxazepam
3. Desipramine
4. Chlorpromazine

Correct answer: 2. Oxazepam

Explanation: Oxazepam is a benzodiazepine-anxiolytic. lithium is a mood stabiliser. Ref: Goodman Gillman 12th ed. Pg: 465